Length of tibia is:
1. 10% of height
2. 20% of height
3. 30% of height
4. 40% of height

Correct answer: 2. 20% of height

Explanation: Ans. 20% of height